Cold sterilization is ?
1. Ionizing radiation
2. Mechanical filtration
3. Ultrasonic
4. Sonic vibrations, heating, then sudden cooling

Correct answer: 1. Ionizing radiation

Explanation: Ans. is 'a' i.e., Ionizing radiation